Which of the following is false regarding nitric oxide?
1. Derived from endothelium
2. Acts by increasing cAMP levels
3. Vasodilator
4. Derived from arginine

Correct answer: 2. Acts by increasing cAMP levels

Explanation: Nitric oxide acts by increasing cGMP not by increasing cAMP. Nitric Oxide: Also known as Endothelium-derived relaxing factor (EDRF) Synthesized in endothelial cells from arginine in a reaction catalyzed by nitric oxide synthase(NOS) Mechanism of Action: NO causes activation of guanylyl cyclase - Increased cGMP - relaxation of smooth muscle - vasodilation. Effects of NO: Vasodilation Neuromodulator in brain Antimicrobial and cytotoxic activity of various inflammatory cells. In GIT, relaxation of smooth muscle. Penile erection. Ref: Ganong's Review of Medical Physiology 26th edition Pgno: 583-584